Which is autosomal dominant disorder?
1. Marfan syndrome
2. Wilson's disease
3. Ataxia telengiectasia
4. G-6-PD deficiency

Correct answer: 1. Marfan syndrome

Explanation: Ans. is 'a' i.e. Marfan syndrome * Acute intermittent porphyria is inherited as an autosomal dominant disorder.Autosomal dominant disordersNervousUrinaryGITHematologicalSkeletalMetabolic* Huntington disease* Neurofibromatosis* Myotonic dystrophy* Tuberous sclerosis* Retinoblastoma* Polycystic kidney* Familial polyposis coli* Gardners syndrome* Turcots syndrome* Lynch syndrome* Peutz Jagher s syndrome* Juvenile polyposis* Heriditary spherocytosis* Von- Willibrand dis* Marfan syndrome* EDS (some variant)* Osteogenesis imperfecta* Achondroplasia* Tuberous sclerosis* Crouzon syndrome* Hereditary multiple exostoses* Familial hypercho- lesterolemia* Acute in- termittent porphyria